Massive PPH may warrant all interventions except:
1. Hysterectomy
2. Thermal endometrial ablation
3. Internal iliac artery ligation
4. Balloon tamponade

Correct answer: 2. Thermal endometrial ablation

Explanation: Thermal endometrial ablation is not used in the management of massive PPH. Mechanical methods for failed medical management: Bimanual compression Uterine packing under anaesthesia Bakri balloon: Maximun filling volume is 500 ml Shivkars Pack: Condom inflated with saline and tied to a nasogastric tube. Surgical methods for failed mechanical methods: B Lynch suture application Block sutures/multiple squares/Hayman/Cho square/Gunshella suture Uterine and ovarian artery ligation Internal iliac artery ligation Hysterectomy (if all the above fails, as a last resort) Note: Thermal endometrial ablation is used to treat abnormal uterine bleeding. Ref: Williams Ostetrics 24th edition Pgno: 482